The pain of ovarian pathology is referred to -
1. Back of thigh
2. Anterior thigh
3. Medial thigh
4. Gluteal region

Correct answer: 3. Medial thigh

Explanation: Referred pain in ovarian pathology
-        T10-T11 area, which is a periumbilical area, due to sensory fibers which travel along with sympathetic fibers to aortic plexus.
-        Along cutaneous distribution of obturator nerve on the inner side of the thigh.